Gasless abdomen is a feature of:
1. High obstruction
2. Acute pancreatitis
3. Congenital diaphragmatic hernia
4. All

Correct answer: 4. All

Explanation: D i.e. All